Diabetes control is best monitored by:
1. Serum glucose
2. Post prandial blood glucose
3. HbA1C
4. HbA2C

Correct answer: 3. HbA1C

Explanation: Answer is C (HbAic): Measurement of glycate hemoglobin (HbAlC) is the standard method for assessing long term glycemic control. Glycated hemoglobin (HbA1C) should be measured in all individual with DM as part of their comprehensive diabetic care.